"Sycosis barbae" is caused by
1. Streptococcus aureus
2. Pseudomonas
3. Trichophyton rubrum
4. Staphylococcus aureus

Correct answer: 4. Staphylococcus aureus

Explanation: It is the repeated infection of bearded region by Staphylococcus.aureus.